A28 year old female weighs 35 kg. She is hesitated to take food telling that she is already fatty. On further evaluation, diagnosis of anorexia nervosa is made. The following symptoms are common in anorexia nervosa, EXCEPT:
1. Weight loss
2. Hypothermia
3. Mood changes
4. Menorrhagia

Correct answer: 4. Menorrhagia

Explanation: Amenorrhea is seen in anorexia nervosa. It may precede the onset of appreciable diminished weight, because it may be related to the loss of body fat stores rather than decrease of body mass. Menarche may be delayed in prepubertal females. Physical findings in anorexia nervosa: Emaciation Hypotension Bradycardia Hypothermia Skin dryness and flakiness Lanugo Peripheral edema Petechiae on extremities Sallow complexion Salivary gland hypertrophy Dental enamel erosion Osteoporosis Russell's sign Scars and calluses on the back of the hand Amenorrhea Mood changes Ref: Gwisman H.E., Mitchell J.E., Ebert M.H. (2008). Chapter 26. Eating Disorders. In M.H. Ebert, P.T. Loosen, B. Nurcombe, J.F. Leckman (Eds), CURRENT Diagnosis & Treatment: Psychiatry, 2e.